In a 27-year-old male, most common cause of a colovesical fistula would be:
1. Crohn's disease
2. Ulcerative colitis
3. TB
4. Cancer colon

Correct answer: 1. Crohn's disease

Explanation: Ans. (a) Crohn's diseaseRef: Sabiston 19th edition, Pages 1247, 1313* Young male most common cause of colovesical fistula: CD* Old age most common cause of colovesical fistula: Diverticular disease* Overall most common cause is diverticulitis